Majority of drugs are transported across the membrane by
1. Passive diffusion
2. Active transport
3. Facilitated transport
4. Filtration

Correct answer: 1. Passive diffusion